Protein attached to 'Z' line in cardiac muscle, which is responsible for elasticity is
1. Troponin
2. Tropomyosin
3. Titin
4. Actin

Correct answer: 3. Titin

Explanation: Titin is a macromolecule which extends between z-line and thick filament It is seen in skeletal muscloand cardiac muscles It provides elasticity Ref guyton and hall textbook of medical physiology 12/e p102